Not true among the following
1. Cock-up splint for radial nerve palsy
2. Russel traction for trochanteric fractures
3. Boston Brace for scoliosis
4. Crutch field traction for lumbar spine injuries

Correct answer: 4. Crutch field traction for lumbar spine injuries

Explanation: Crutch field traction - Cervical spine injuries